Drug used in heparin overdose is
1. Protamine sulfate
2. Phylloquinone
3. Ticlopidine
4. Clopidogrel

Correct answer: 1. Protamine sulfate

Explanation: Refer Katzung 11/e p 593 Protamine sulfate is antidote of heparin overdose whereas vitamin K is used as antidote for warfarin toxicity